The initial investigation of choice for a postcholecystectomy biliary stricture is
1. Ultrasound scan of theabdomen
2. Endoscopic cholangiography
3. Computed tomography
4. Magnetic resonance cholangiography

Correct answer: 1. Ultrasound scan of theabdomen

Explanation: The first step in the management of a postcholecystectomy biliary stricture is to undertake an immediate ultrasound scan of the abdomen.This will demonstrate whether there is intrahepatic /extrahepatic dilatation secondary to strictures. After that, the anatomy needs to be defined by either an ERCP or MRCP. Reference: Bailey & Love's short practise of surgery,25th edition, page no:1125.